The right border of the heart is formed by -
1. Left Ventricle
2. Right Ventricle
3. Right Atrium
4. Left Atrium

Correct answer: 3. Right Atrium

Explanation: Ans. is 'c' i.e., Right Atrium